Kerion is caused by:
1. Candida
2. Streptococcus
3. Dermatophytes
4. Herpes

Correct answer: 3. Dermatophytes

Explanation: Ans. is 'c' i.e., Dermatophytes(Ref: Harrison, 18th/e, p. 401 and 17th/e, p. 318; Jawetz, 23rd/e, p. 631)* Kerion is a hypersensitivity and inflammation reaction in Tinea capitis caused by zoophilic species of dermatophytes (T. verrucosum and T. mentagrophytes).